False statement about 21-Hydroxylase deficiency is
1. Most common cause of congenital adrenal hyperplasia
2. Autosomal recessive
3. Femal pseudohermaphoditism
4. Male pseudohermaphroditism

Correct answer: 4. Male pseudohermaphroditism

Explanation: Congenital adrenal hyperplasia (CAH): Autosomal Recessive disordersMost Common adrenal disorder in childhoodMost common is the 21-hydroxylase deficiency. There is elevated level of pregnenolone, 17-OH pregnenolone, DHEA, and decreased level of progesterone, deoxycortisol, and estradiol, so 21 hydroxylase deficiency causes female pseudohermaphroditism (Refer: Nelson's Textbook of Pediatrics, SAE, 1st edition, pg no. 2714)